Ivermectin is used in all except-
1. Ascariasis
2. Malaria
3. Filariasis
4. Onchocerciasis

Correct answer: 2. Malaria

Explanation: Ivermectin is a recently developed macrocyclic lactone that has widespread antiparasitic activity. A series of clinical trials has shown that ivermectin is safe and effective in the treatment of human infection with Onchocerca volvulus. Its use promises to revolutionise the treatment of onchocerciasis. Ivermectin for the treatment of Wuchereria bancrofti filariasis Ivermectin was administered once orally at four dose levels (range, 25 to 200 micrograms/kg), and at each it was found to be completely effective in clearing blood microfilariae within five to 12 days Treatment. Ascariasis is treated with albendazole, mebendazole, or ivermectin. Dosage is the same for children as for adults Ivermectin is not a treatment for malaria Ref Harrison20th edition pg 1077